Thick ascending limb of loop of Henle has-
1. Na+ K+ cotransporter
2. Na+Cl- cotronsporter
3. Na+ H+ cotronsporter
4. Na+ K+ 2C1- transporter

Correct answer: 4. Na+ K+ 2C1- transporter

Explanation: Ans. is 'd' i.e., Na+ K+ 2C1- transporter Na+ reabsorptiono 60-70% in proximal tubule - by Na" - H+ exchange, Na+ - Glucose contransport, Na+ - aminoacid cotransport, Na+ unitransport.o 30% in thick ascending limb of loop of Henle by Na+ - 2C1- - K+ cotransport.o 7% in early distal tubule - Na+ Cl- cotransporto 3% in late distal tubule and collecting duct - via ENaC channelso Na+ is reabsorbed in all segments of nephron except for thin descending limb of loop of Henle.